Many signaling pathways involve the generation of inositol trisphosphate (IP3) and diacylglycerol (DAG). These molecules
1. Are first messengers
2. Activate phospholipase C
3. Are derived from PIP2
4. Can't activate calcium calmodulin-dependent protein kinases directly or indirectly

Correct answer: 3. Are derived from PIP2

Explanation: IP3 DAG are secondary messengers derived from PIP2 they are present in the cell membrane where IP2 crosses the cell membrane and DAG doesnot. Ref: KD Tripathi 8th ed.